Which of the following muscle of tongue runs from dorsum of tongue to ventral
1. Verticalis
2. Superior longitudinal
3. Inferior longitudinal
4. Transverse

Correct answer: 1. Verticalis

Explanation: Verticalis connects the superior and inferior longitudinal muscles